Ascospare is -
1. Asexual spore
2. Sexual spore
3. Conidia
4. None of the above

Correct answer: 2. Sexual spore

Explanation: Ans. is 'b' i.e., Sexual spore FUNGAL SPORES Most fungi reproduce through the generation of spores Fungi produce spores by two methods? i) Sexual reproduction -, Sexual spores ii) Asexual reproduction --> Asexual spores Fungal spores Sexual Oospore Zygospore Ascospore Basidiospore Asexual (Conidia) Sporangiospore Arthrospore Blastospore Phialoconida Chlamydosporc